Intracranial calcification with cystic lesion in plain X? Ray skull is seen in
1. Meningioma
2. Glioma
3. Craniopharyngioma
4. Meduloblastoma

Correct answer: 3. Craniopharyngioma

Explanation: C i.e. Craniopharyngioma